After radiation induced injury cataract is seen in which part of lens
1. Anterior cortical
2. Posterior cortical
3. Sub-capsular
4. Nucleus

Correct answer: 3. Sub-capsular